A child presents with linear verrucous plaques on the trunk with vacuolization of keratinocytes in S.Spinosum and S.Granulosum. Diagnosis is?
1. Incontinenta pigmenti
2. Delayed hypersensitivity reaction
3. Verrucuous epidermal nevus
4. Linear darriers disease

Correct answer: 3. Verrucuous epidermal nevus

Explanation: Verrucous epidermal nevus

Verrucous epidermal nevus consists of hyperplasia of the surface epidermis and typically appears as verrucous papules that coalesce to form well demarcated, skin-coloured to the brown, papillomatous plaque.
Most lesions are present at birth and develop during infancy. They enlarge slowly during childhood and generally reach a stable size at adolescence.
Lesions may be localized or diffuse.
Linear configurations are common especially on the limbs and may follow skin tension lines or Blaschko's lines.
The salient histological features are -
Perinuclear vacuolization of the cells in the stratum spinosum and stratum granulosum.

Irregular cellular boundaries peripheral to the vacuolization and increased number of irregularly shaped large keratohyaline granules.
Compact hyperkeratosis in stratum corneum